Giving Benzathine penicillin in RHD is a type of -
1. Primary prevention
2. Secondary prevention
3. Tertiary prevention
4. Primordial prevention

Correct answer: 2. Secondary prevention

Explanation: park's textbook of preventive and social medicine 23rd edition. *in children :Im injection of benzyl pencillin 600000 units. *in adult :1.2 million units. *this must be continued for 5 years or until the child reaches 18 years.